Drug highly distributed to body fat -
1. Digoxin
2. Heparin
3. Mannitol
4. Thiopentone

Correct answer: 4. Thiopentone

Explanation: Ans. is 'd' i.e., Thiopentone Redistribution of drugso Highly lipid soluble drugs get initially distributed to organs with high blood flow i. e. brain, heart, kidney etc.o Later, less vascular but more bulky tissues take up the drug- plasma concentration falls and the drug is withdrawn from the highly perfused sites.o If the site of action was in the highly perfused tissues, redistribution results in termination of the action of drug,o Greater the lipid solubility' of the drug faster is its redistribution.o The drugs with high lipid solubility and faster redistribution are - thiopentone and diazepam.